In quiet breathing, and in the supine position, where is the apex beat of the heart located?
1. To the left of the sternal angle at the level of the second rib
2. In the left fifth intercostal space in the midclavicular line
3. In the right midaxillary line
4. At the xiphisternal junction

Correct answer: 2. In the left fifth intercostal space in the midclavicular line

Explanation: The apex is the only point of the heart that can be directly identified on the precordium. A cardiac impulse may be visible at the apex, and palpation over it will confirm the presence of the apex beat. The apex is located in the left fifth intercostal space just medial to the midclavicular line. Ref: Ommen S.R., Nishimura R.A., Tajik A. (2011). Chapter 33. Hypertrophic Cardiomyopathy. In V. Fuster, R.A. Walsh, R.A. Harrington (Eds), Hurst's The Heart, 13e.